Earliest sign of left atrial hypertrophy is:
1. Posterior displacement of esophagus
2. Widening of carinal angle
3. Upward displacement of left bronchus
4. Double contour of right border of heart

Correct answer: 1. Posterior displacement of esophagus

Explanation: Ans. Posterior displacement of esophagus